A patient came to eye OPD with h/o dactylitis, anemia and growth retardation. In fundus there is sea fan neovascularization and salmon patches. What is the probable diagnosis
1. Syphillis
2. Sickle cell anemia
3. Toxoplasma
4. Histoplasmosis

Correct answer: 2. Sickle cell anemia

Explanation: The presentation is typical of sickle cell retinopathy Sickle cell Retinopathy SS genotype causes more severe systemic disease than SC and S-Thal genotypes, while the SC and S-Thal genotypes present with a greater incidence of ocular manifestations, including proliferative sickle cell retinopathy. The underlying systemic and ocular manifestations of SCD (Sickle Cell Disease) are a result of vaso-occlusive ischemia due to the blocking of blood vessels by sickle-shaped erythrocytes. Figure 1. Salmon-patch Figure 2. Sea fan formation with neovascularization.